True about cathode-anode circuit is:
1. Step up transformer
2. Step down transformer
3. 1 and 2
4. None of the above

Correct answer: 1. Step up transformer

Explanation: Cathode – anode circuit has a step-up transformer (SUP) because the voltage has to be stepped up from 220 V to 65,000 V.